Tendon of which of the following muscle can be felt at radial border of the anatomical snuff box.
1. Extensor pollicis longus
2. Extensor pollicis bravis
3. Extensor pollicis ulnaris
4. Extensor digitorium

Correct answer: 2. Extensor pollicis bravis

Explanation: Extensor pollicis bravis. BOUNDARIES OF ANATOMICAL SNUFF BOX The posterior border of the snuffbox is the tendon of the extensor pollicis longus. The anterior border (closest to the edge of the hand) is a pair of parallel and intimate tendons, of the extensor pollicis brevis and the abductor pollicis longus. (Accordingly, the anatomical snuffbox is most visible, having a more pronounced concavity, during thumbextension.) The proximal border is formed by the styloid process of the radius The distal border is formed by the approximate apex of the schematic snuffbox isosceles triangle. The floor of the snuffbox varies depending on the position of the wrist, but both the trapezium and primarily the scaphoid can be palpate